A 12-year-old child presents with U/L pink nasal mass. Most important investigation prior to undertaking surgery is:
1. Ultrasound
2. FNAC
3. Biopsy
4. Contrast CT scan

Correct answer: 4. Contrast CT scan

Explanation: (d) Contrast CT scan(Ref. Cummings, 6th ed., 1422)An adolescent male with U/L pink nasal mass has to be investigated to rule out angiofibroma. So the next best investigation prior to undertaking surgery is a Contrast enhanced CT scan.FNAC and biopsy are contraindicated here for the fear of profuse bleeding.